True about femoral hernia is -
1. Occurs exclusively in females
2. Pregnancy is common cause
3. Doesn't strangulate
4. In males associated with cryptorchidism

Correct answer: 2. Pregnancy is common cause

Explanation: Answer is 'b' i.e. Pregnancy is common cause Femoral hernia In this hernia the abdominal contents pass through the femoral ring, traverse the femoral canal and come out through the saphenous opening. It is more common in females (But remember that most common hernia in the females is not femoral, but it is indirect inguinal) Femoral hernia is rare in men and nulliparous women but more common in multiparous women due to stretching of the pelvic ligaments. In contrast to inguinal hernia, femoral hernia is rare in infancy and childhood. It is rare before puberty. It is more common on right side It is bilateral in 20% of cases. Among all the types of hernia, femoral hernia is most liable to become strangulated, mainly because of the narrowness of the neck of the sac and the rigidity of the femoral ring. Infact strangulation is the initial presentation of 40% of femoral hernias. About option 'd' Cryptorchidism is associated with indirect inguinal hernias due to patent processus vaginalis.